A nurse is evaluating a client who is HIV positive who is prescribed with Pentamidine (Pentam) IV for the treatment of Pneumocystis carinii pneumonia. Which of the following assessment after the administration is the most important to relay to the physician?
1. Blood pressure of 100/62 mm/Hg.
2. Redness and pain at the site of the infusion.
3. Sudden sweating and hunger.
4. Unusual taste or dryness in the mouth.

Correct answer: 3. Sudden sweating and hunger.

Explanation: Pentamidine can cause fatal hypoglycemia, so symptoms such as sudden sweating and hunger are indicative of a low blood sugar indicates a need for change in the treatment.

Option A: A low blood pressure may indicate the need of a slower infusion.
Option B: Redness and Pain is a sign for the nurse to establish a new IV line.
Option D: Dryness and unusual taste may happen at the start but do not need for an immediate notification of the physician